A well packed premeasured capsule without any leak releases mercury during
1. Condensation
2. Trituration
3. Carving
4. Mulling

Correct answer: 1. Condensation